During orthodontic movement of maxillary central Incisor, centre of rotation is present at apex. It shows:
1. Controlled tipping
2. Uncontrolled tipping
3. Translation
4. Intrusion

Correct answer: 1. Controlled tipping

Explanation: Different Types of Orthodontic Tooth Movements
TIPPING:-
Simplest tooth movement.
Controlled tipping – Centre of rotation at its apex.
Uncontrolled tipping – Centre of rotation is very close or at centre of resistance.